Which among the following is the commonest site of diverticulosis in old population?
1. Ascending colon
2. Transverse colon
3. Descending colon
4. Sigmoid colon

Correct answer: 4. Sigmoid colon

Explanation: Diverticulosis refers to the presence of diverticula without inflammation. The sigmoid colon is the most common site of diverticulosis. The majority of colonic diverticula are false diverticula in which the mucosa and muscularis mucosa have herniated through the colonic wall. These diverticula occur between the taeniae coli, at points where the main blood vessels penetrate the colonic wall (presumably creating an area of relative weakness in the colonic muscle). Ref: Bullard Dunn K.M., Rothenberger D.A. (2010). Chapter 29. Colon, Rectum, and Anus. In F.C. Brunicardi, D.K. Andersen, T.R. Billiar, D.L. Dunn, J.G. Hunter, J.B. Matthews, R.E. Pollock (Eds), Schwartz's Principles of Surgery, 9e.